All are reversible injury of cell, except -
1. Vacuole
2. Karyorrhexis
3. Fat accumulation
4. Cell wall swelling

Correct answer: 2. Karyorrhexis

Explanation: Ans. is 'b' i.e., Karyorrhexis